Cheiloscopy is the study of
1. Lip prints
2. Foot prints
3. Bite marks
4. Finger prints

Correct answer: 1. Lip prints

Explanation: Cheiloscopy is a forensic investigation technique that deals with identification of humans based on lips traces. The aim of this study is to establish the uniqueness of lip prints which aids in personal identification Ref - pubmed.com /